Megaloblastic anaemia is caused by:
1. Dog tapeworm
2. Hookworm
3. Fish tapeworm
4. Threadworm

Correct answer: 3. Fish tapeworm